Definitive treatment of hypermagnesemia is?
1. Calcium gluconate
2. IV fluids
3. Hemodialysis
4. Exchange resins

Correct answer: 3. Hemodialysis

Explanation: Hemodialysis REF: Harrison's 17th ed chapter 346 HYPERMAGNESEMIA: TREATMENT Successful treatment of hypermagnesemia generally involves identifying and interrupting the source of magnesium and employing measures to increase magnesium clearance from the BCF. Use of magnesium-free cathartics or enemas may be helpful in clearing ingested magnesium from the gastrointestinal tract. Vigorous IV hydration should be attempted, if appropriate. Hemodialysis is effective and may be required in patients with significant renal insufficiency. Calcium, administered IV in doses of 100-200 mg over 1-2 h, has been reported to provide temporary improvement in signs and symptoms of hypermagnesemia.